In schizophrenia, hallucinations are to be?
1. Visual
2. Kinesthetic
3. Auditory
4. Olfactory

Correct answer: 3. Auditory

Explanation: In schizophrenia, the most common type of hallucination is auditory. Other types of hallucinations, such as cenesthetic (altered sensations of body organs), visual, olfactory, and kinesthetic, can also occur.